Cilastatin is given in combination with Imipenem because:-
1. Cilastatin prevents degradation of Imipenem in kidney
2. Cilastatin increase absorption of Imipenem
3. Inhibits the enzymes that digest Imipenem in stomach
4. Reduces side effects of Imipenem

Correct answer: 1. Cilastatin prevents degradation of Imipenem in kidney

Explanation: Carbapenems are synthetic Beta lactam antibiotic. Imipenem is compounded with cilastatin to protect it from metabolism by renal dehydropeptidase. Cilastatin is a dehydropeptidase inhibitor. High level of imipenem may provoke seizure, however other carbapenem like:- Meropenem Ertapenem Doripenem Are less likely to do